Strong correlation is signified by a correlation coefficient of ?
1. Zero
2. 1
3. Less than 1
4. More than 1

Correct answer: 2. 1